Laryngotracheobronchitis is caused most commonly by:
1. Adenovirus
2. Parainfluenza virus
3. Rhinovirus
4. None of the above

Correct answer: 2. Parainfluenza virus

Explanation: Laryngotracheobronchitis is the most common infectious cause of airway obstruction in children, usually occurring between the ages of 6 months and 3 years. It is a viral infection most commonly caused by the parainfluenza virus, although numerous other organisms have been reported.